Toxicity of nitrogen mustards can be decreased by
1. Allopurinol
2. Folinic acid
3. GM-CSF
4. All

Correct answer: 3. GM-CSF

Explanation: Ans. is `c GM-CSF o Nitrogen mustards and other alkylating agents can cause myelosuppression --> Leukopenia can be reversed by sargramostim (recombinant GM-CSF). o Haemorrhagic cystitis is more common with some (not all) nitrogen mustards, especially cyclophosphamide and ifosphamide, which is blocked by the use of MESNA or acetylcysteine. So, best option amongst the given options is 'c' (GM-CSF) as myelosuppression can be caused by all nitrogen mustard, whereas hemorrhagic cystitis is more common with cyclophosphamide and Ifosphamide.